Shallow Anterior Chamber is seen in all except –
1. Old age
2. Steroid induced cataract
3. Hypermetropia
4. Angle closure glaucoma

Correct answer: 2. Steroid induced cataract

Explanation: Old age, hypermetrops and patient of angle closure glaucoma have shallower anterior chamber.
Steroid induced cataract is posterior subcapsular cataract and has nothing to do with depth of anterior chamber.